Association of Psychomotor learning
1. Knowledge
2. Attitudes
3. Skills
4. Belief

Correct answer: 3. Skills